After splenectomy which vaccine has to be given?
1. Pneumococal
2. Rotavirus
3. BCG
4. MMR

Correct answer: 1. Pneumococal

Explanation: Ans. is 'a' i.e., Pneumococal Children at hight risk ofpneumococal disease :? Congenital immunodeficiency HIV Immunosuppresant drug Sickle cell disease Asplenia, post splenectomy Chronic cardiac disease Chronic pulmonary, renal disease Diabetes mellitus